Inherited coagulation disorder is all except -
1. Protein C deficiency
2. Protein S deficiency
3. Leiden mutation
4. Lupus anticoagulant

Correct answer: 4. Lupus anticoagulant

Explanation: Primary (inherited) hypercoagulability most often is caused by mutations in the factor V and prothrombin genes: Approximately 2% to 15% of whites carry a specific factor V mutation (called the Leiden mutation, after the Dutch city where it was first described). The mutation alters an amino acid residue in factor V and renders it resistant to protein C. A single-nucleotide substitution (G to A) in the 3'-untranslated region of the prothrombin gene is a fairly common allele (found in 1% to 2% of the general population). This variant results in increased prothrombin transcription and is associated with a nearly threefold increased risk for venous thromboses. Less common primary hypercoagulable states include inherited deficiencies of anticoagulants such as antithrombin III, protein C, or protein S; affected patients typically present with venous thrombosis and recurrent thromboembolism in adolescence or early adult life. Congenitally elevated levels of homocysteine contribute to arterial and venous thromboses (and indeed to the development of atherosclerosis) ( Robbins Basic Pathology, 9 th edition, page 87 )